Which of the following drug shows nephrotoxicity during administration?
1. Azathioprine
2. Leflunomide
3. Mycophenolate mofetil
4. Tacrolimus

Correct answer: 4. Tacrolimus

Explanation: Adverse effects of tacrolimus: Nephrotoxicity Neurotoxicity (e.g., tremor, headache, motor disturbances, seizures) GI complaints Hypertension Hyperkalemia Hyperglycemia Diabetes The major side effect of azathioprine is bone marrow suppression, including leukopenia (common), thrombocytopenia (less common), and/or anemia (uncommon). The principal toxicities of Mycophenolate mofetil are gastrointestinal and hematologic. Leflunomide is hepatotoxic and can cause fetal injury when administered to pregnant women. Ref: Krensky A.M., Bennett W.M., Vincenti F. (2011). Chapter 35. Immunosuppressants, Tolerogens, and Immunostimulants. In L.L. Brunton, B.A. Chabner, B.C. Knollmann (Eds), Goodman & Gilman's The Pharmacological Basis of Therapeutics, 12e.